Hypercalcemia is seen in all EXCEPT:
1. Bone metastasis
2. Sarcoidosis
3. Pseudohypoparathyroidism
4. Hyperparathyroidism

Correct answer: 3. Pseudohypoparathyroidism

Explanation: Ans. C i.e. Pseudohypoparathyroidism Pseudohypoparathyroidism presents with hypocalcemia, normal to raised PTH, normal 25-(OH)D, and decreased 1,25-(OH),D